Persistence of distal part of vitello intertimal duct is
1. Meckel's diverticulum
2. Raspberry tumour
3. Peritoneal mice
4. None of the above

Correct answer: 2. Raspberry tumour

Explanation: Respberry tumour :

It is persistence of distal part of vitello - intestinal duct.
Also called as Umbilical adenoma.